Galactosemia is due to the deficiency of:
1. Galactose-1-Phosphatase
2. Glucose-1-Phosphatase
3. Galcatose-1-Phosphate uridyl transferase
4. Glucose-6-Phosphatase

Correct answer: 3. Galcatose-1-Phosphate uridyl transferase

Explanation: Ans. C. Galcatose-1-Phosphate uridyl transferaseGalactosemia is due to the deficiency of Gal-1-P-uridyl transferase. It can lead to jaundice and intellectual disability. The clinical features of galactosemia are:a. Vomitingb. Jaundicec. Seizuresd. Lethargye. Oil Drop Cataractf. Liver failure